Which of the following is true regarding Wilm's tumor?
1. Commonest presenting feature is lump abdomen
2. Invariably unilateral
3. Extremely poor prognosis in infants
4. All the above

Correct answer: 1. Commonest presenting feature is lump abdomen

Explanation: The triad of Wilm's tumor is abdominal mass, pyrexia and hematuria. 5% of the cases have bilateral mass. Wilms tumor or nephroblastoma, is the most common childhood abdominal malignancy. At present, survival rates of children with Wilms tumor are approximately 80-90%. Examples of common congenital anomalies associated with Wilms tumor are cryptorchidism, a double collecting system, horseshoe kidney and hypospadias.